Enterokinase is an activator of:
1. Trypsinogen
2. Trypsin
3. Chymotrypsin
4. Antitrypsin

Correct answer: 1. Trypsinogen

Explanation: Ans. A TrypsinogenRef: Ganongy 25th ed. pg 479* Trypsinogen is converted to active enzyme trypsin by enterokinase when the pancreatic juice enters into the duodenum. Enterokinase contains 41% polysaccharide and this high polysaccharide content prevents the enterokinase from getting digested.* The trypsin, chymotrypsin and elastase act at interior peptide bonds in the peptide molecules and are called as endopeptidases.